Cavitation is most often seen in:
1. Mycoplasma pneumonia
2. Tuberculous pneumonia
3. Streptococcal pneumonia
4. Staphylococcal pneumonia

Correct answer: 2. Tuberculous pneumonia

Explanation: Ans. (b) Tuberculous pneumonia Pneumonia pattern Etiologic organism Lobar distribution Streptococcus pneumoniae Bulging fissure Klebsiella Cavitation Tuberculosis Pneumatocele Staphylococcus Alveolar nodules Varicella, Tuberculosis Pulmonary edema Virai/Pneumocystis pneumoniae